Hereditary nephritis is seen in
1. Analgesic nephropathy
2. Balkan nephropathy
3. Alports syndrome
4. Eosinophillic nephrits

Correct answer: 3. Alports syndrome

Explanation: Hereditary nephritis refers to a group of heterogeneous Heriditary familial diseases associated primarily with glomerular injury. These are Alports syndrome Thin membrane disease Refer Harrison 17/1794 Robbins 7/988